"NALGONDA" technique of defluoridation was developed at:
1. Chennai
2. Nagpur
3. Nalgonda
4. Bangalore

Correct answer: 2. Nagpur